Inhibition of 5- lipoxygenase is useful in:
1. cardiac failure
2. bronchial asthma
3. hepatic failure
4. arthritis

Correct answer: 2. bronchial asthma

Explanation: Ans. is 'b' i.e. Bronchial Asthma 5 Lioxygenase acts on Arachidonic acid to release leukotrienes which are important inflammatory mediators. They are responsible for the bronchospasm during asthma attack.So as obvious any drug which inhibits 5 lipoxygenase will prevent the formation of Leukotrienes and will be useful in the t/t of Asthma.Zileuton* is a 5 lipoxygenase inhibitor which is being currently used in USA. It is a bronchodilator that reduces asthma morbidity and is effective in exercise induced asthma.